Theme of WHO in 2020 is:
1. Support Nurses and Midwives
2. COVID-19 Lets fight together
3. Universal Health Coverage: Everyone, Everywhere
4. None of the above

Correct answer: 1. Support Nurses and Midwives

Explanation: THEMES OF WHO
2020 – Support Nurses and Midwives
2019 – Universal Health Coverage: Everyone, Everywhere" 
2018 – Universal health coverage
2017 – Depression
2016 – Diabetes
2015 – Food safety